Intravenous anaesthetics are all except-
1. Propofol
2. Opioids
3. Ketamine
4. Desflurane

Correct answer: 4. Desflurane

Explanation: Ans- D.Desflurane is an Inhalational anesthetic.